Niemann Pick disease is due to deficiency of
1. Galactokinase
2. Galactosidase
3. Sphingomyelinase
4. Hexosaminidase A

Correct answer: 3. Sphingomyelinase

Explanation: (C) Sphinomyelinase EXAMPLES OF SPHINGOLIPIDOSESDiseaseEnzymeDeficiencyLipid AccumulatingClinical SymptomsTay-Sachs diseaseHexosaminidase ACer--Glc--Gal(NeuAc) / GalNAcIntellectual disability, blindness, muscular weakness. GM2 Ganglioside Fabry's diseasea-GalactosidaseCer--Glc--GalGalSkin rash, kidney failure (full symptoms only in Globotriaosylceramidemales; X-linked recessive).MetachromaticleukodystrophyArylsulfatase ACer--Gal/OSO3Intellectual disability and psychologic disturbances in adults; demyelination. 3-SulfogalactosylceramideKrabbe's diseaseb-GalactosidaseCer/ GalIntellectual disability; myelin almost absent. Galactosylceramide Gaucher's diseaseb-GlucosidaseCer/ GlcEnlarged liver and spleen, erosion of long bones, Glucosylceramidemental retardation in infants.Niemann-Pick diseaseSphingomyelinaseCer/ P--cholineSphingomyelinEnlarged liver and spleen, intellectual disability; fatal in early life.Farber's diseaseCeramidaseAcyl/SphingosineHoarseness, dermatitis, skeletal deformation, intellectual disability; fatal in early life.